All of the following are true about WHO growth charts EXCEPT:
1. Based on a study conducted in 6 states of United States
2. First published in 2006
3. Charts for Body mass index and skin fold thickness are also available
4. Separate charts are available for boys and girls

Correct answer: 1. Based on a study conducted in 6 states of United States

Explanation: WHO Growth Charts First published in 2006 Based on MGRS (Multicentre Growth reference study) 6 countries including India Exclusively breast fed babies Maternal factors like alcohol & smoking have been exluded All anthropometric parameters covered Available in various formats (S.D. based, Z-score based, percentile based)